Benzodiazepine acts through:
1. GABAA
2. GABAB
3. GABAC
4. GABAD

Correct answer: 1. GABAA

Explanation: Ans: a (GABA A) Ref: KDT, 6 ed, p. 394The benzodiazepine receptor modulates GABA A receptor in either direction. Agonists like diazepam facilitate, while inverse agonists like DMCM hinder GABA A mediated Cl- channel opening and benzodiazepine antagonist like flumazenil block the action of both.GABAA BZD Receptor--Cl Channel complexDrugs acting on GABA receptor gated chloride channel:Muscimol: GABAa agonistBicuculline: GABAa competitive antagonistBarbiturate : agonist at allosteric site (?picrotoxin site) - prolong GABA action ie, open cl- channel.Picrotoxin: blocks cl- channel competitivelyBenzodiazepine: agonist at allosteric BZD site- facilitate GABA actionsscarboline (DMCM): inverse agonist at BZD site- impede GABA action.Flumazenil: competitive antagonist at BZD site.Remember:GABAB: G protein coupled receptor. Hyperpolarizes neurons by increasing K+conductance.Baclofen GABAB agonistSaclofen: GABAB receptor blocker